Clinical features of Botulism are all Except
1. Diarrhea
2. Dysarthria
3. Ocular nerve paralysis
4. Blurring of vision

Correct answer: 1. Diarrhea